Aspirin should be used with caution in the following groups of patient because of which of the following reason
1. In Diabetics because it can cause hyperglycemia
2. in children with viral disease, Because of the risk of acute renal failure
3. In gout because it can cause increased serum uric acid
4. In pregnancy because of high risk of teratogenicity

Correct answer: 3. In gout because it can cause increased serum uric acid

Explanation: At therapeutic doses, aspirin can cause hyperuricemia by decreasing the excretion of uric acid. it therefore, should not be used in patients with gout. it also decreases the uricosuric action of probenecid. at high doses (more than 5 grams per decilitre) it increases the excretion of uric acid but such high doses are not tolerated. Aspirin is contraindicated in children less than 12 years old due to increased risk of ryes syndrome which is a type of hepatic encephalopathy. It should be avoided in Diabetics because of risk of hyperglycemia It should be avoided in pregnancy because it may be responsible for low birth weight babies, however, it does not cause congenital malformation. Refer kDT 6/e p190